Fibroid causes all the following Except
1. Infertility
2. Amenorrhea
3. Pelvic mass
4. Menorrhagia

Correct answer: 2. Amenorrhea

Explanation: Symptoms of fibroid are:Menorrhagia, polymenorrhea and metrorrhagia Infertility, recurrent abortionsPainAbdominal lumpPressure symptomsVaginal dischargeAround 50% women are asymptomatic.Ref: Shaw's Textbook of Gynaecology; Chapter 29; Benign diseases of the uterus